Sodium fluoride inhibits glycolysis by inhibiting the enzyme
1. Enolase
2. Aldolase
3. Catalase
4. Dehydrogenase

Correct answer: 1. Enolase